Which drug is essential in Sheehan's syndrome:
1. Estrogen
2. Cortisone
3. Thyroxin
4. Growth hormone

Correct answer: 2. Cortisone

Explanation: Answer is B (Cortisone): "Multiple hormones must be replaced in patients with pan-hypopituitarism, but cortisol replacement is most important"(2 - Harrison 14th /1994 Sheehan's syndrome is post-partum infarction of the pituitary, leading to hypopituitarism. Treatment consists of hormone replacement therapy including Glucocorticoids, Thyroid hormone, Sex steroids, Growth hormone, Vasopressin, etc. Thus, multiple hormones must be replaced, but remember that Cortisol replacement is most important.